Membrane coating granules may
1. Appear as circular with an amorphous core in keratinized epithelium
2. Originate from golgi system
3. Packed with tonofilaments
4. Helps in adhesion of fully keratinized epithelial cells

Correct answer: 2. Originate from golgi system